Snow banking on fundus examination is the sign of
1. Anterior uveitis
2. Intermediate uveitis
3. Posterior uveitis
4. CMV infection

Correct answer: 2. Intermediate uveitis

Explanation: Pars planitis is intermediate uveitis M /c cause of pars planitis is idiopathic M/c symptom is FLOATERS Eye is usually quiet , fundus shows Snow ball opacities which may join together to form Snow banking .(Hallmark Feature) Snow Balls-are the infllamatory cells From Pars Plana thrown into vitreous causing vitreous floaters .these gravitate and sink down fotming Snow Banking.